A sewage worker presents to the Emergency department with fever and jaundice. Laboratory findings reveal an elevated BUN and serum creatinine suggestive of renal failure. Which of the following antiboitics is recommended?
1. Cotrimaxozole
2. Erythromycin
3. Ciprofloxacin
4. Penicillin G

Correct answer: 4. Penicillin G

Explanation: Ans. is 'd' i.e. Penicillin G o Presence of fever, jaundice and renal failure in a sewage worker (contact with rat urine) suggests a diagnosis of Wen syndrome or Icterohemorrhageic fever caused by leptospirae. o Penicillin G (intravenously) is the recommended agent. "In severe illness, I.V benzyl penicillin is the drug of choice, for milder infections a 7-10 days course of oral amoxicillin appropriate." - Green wood I 6th/e 355 o Patients allergic to penicillin can be treated with erythromycin.